Banana and lemon sign is seen in :
1. Neural tube defect
2. Hydrops fetalis
3. Twins
4. lUD

Correct answer: 1. Neural tube defect

Explanation: The typical ultrasound cranial signs in open spina bifida are 'lemon sign 'and 'banana sign'.Lemon sign is due to scalloping of the frontal bones. Banana sign is the abnormal anterior curvature of the cerebellum. Refer page no 487 of Text book of obstetrics,sheila balakrishnan,2 nd edition.